Zidovudine toxicity is increased by all except -
1. Azithromycin
2. Probenecid
3. Cisplatin
4. Paracetamol

Correct answer: 1. Azithromycin

Explanation: Paracetamol increases zidovudine toxicity ,probably by competing for glucuronidation. Azole antifungals also inhibit AZT metabolism. Other nephrotoxic & myelosuppressive drugs & probenecid enhance toxicity . Reference :Tripathi textbook of pharmacology 7th edition pg no 807.